Osteomyelitis of the jaw can be cured by
1. Resection
2. Physiotherapy
3. Sequestrectomy with antibiotic treatment
4. Drainage

Correct answer: 3. Sequestrectomy with antibiotic treatment